Cafe coronary commonly occurs when a person is
1. Intoxicated
2. Eatting fatty food
3. Eating meat
4. Eating fish

Correct answer: 1. Intoxicated

Explanation: A i.e. Intoxicated